Test not used for diagnosis of syphilis
1. VDRL
2. TPI
3. Reagin Test
4. Frei Test

Correct answer: 4. Frei Test

Explanation: D i.e. Frie - test - Most specific test is TPI > FTA -ABSQ Non treponemal test becomes non reactive after t/t; the Treponemal test often remain reactive & therefore not helpful in determining the infection status of person with past syphilis Q. Response to treatment in early syphilis is seen by sequential VDRL or RPR titerQ as they become negative after treatment. CSFVDRL is highly specific but insensitive test; may be nonreactive in symptomatic progressive neuro syphilis. It's sensitivity is highest in meningovascular syphilis & paresis.